Treatment of the lutein cyst in hydatiform mole is:
1. Ovarian cystectomy
2. Ovariectomy
3. Suction evacuation
4. Ovariotomy

Correct answer: 3. Suction evacuation

Explanation: Management of theca lutein cysts:
Theca lutein cysts are seen in H. mole due to high circulating levels of hCG.
As such they donot need any separate treatment. Suction evacuation of H. mole results in diminishing hCG titre, which leads to spontaneous regression of theca lutein cysts.
“Because theca lutein cysts regress following suction evacuation, expectant management is preferred”.
William 24/e, p 398